A hypertensive primigravida developed Sheehan's syndrome after the delivery. All of the following are seen with Sheehan's syndrome, EXCEPT:
1. Obesity
2. Amenorrhoea
3. Failure to lactate
4. Absence of secondary sexual characteristics

Correct answer: 1. Obesity

Explanation: Severe intrapartum or early postpartum hemorrhage and associated hypotension is followed by pituitary failure or Sheehan syndrome. It refers to panhypopituitarism. Abrupt, severe hypotension leads to pituitary ischemia and necrosis. It is characterized by failure of lactation, amenorrhea, breast atrophy, loss of pubic and axillary hair, hypothyroidism, and adrenal cortical insufficiency. Also know: The pituitary cell types are differentially sensitive to damage. For this reason, prolactin secretion deficiency is the most common, followed by loss of gonadotropin and growth hormone release, loss of ACTH production, and least commonly, by decreases in thyroid-stimulating hormone (TSH) secretion. Ref: Leveno K.J., Hauth J.C., Rouse D.J., Spong C.Y. (2010). Chapter 35. Obstetrical Hemorrhage. In K.J. Leveno, J.C. Hauth, D.J. Rouse, C.Y. Spong (Eds), Williams Obstetrics, 23e.